Rat lung worm is
1. Gnathostoma spinigerum
2. Anisakis simplex
3. Toxocara catis
4. Angiostrongylus cantonensis

Correct answer: 4. Angiostrongylus cantonensis

Explanation: Angiostrongylus cantonensis also called Rat lung worm causes Eosinophilic meningtis.